Extra-articular manifestations of RA ?
1. Scleritis
2. Pericarditis
3. Pulmonary fibrosis
4. All

Correct answer: 4. All

Explanation: Ans. is AllEXTRA ARTICULAR MANIFESTATIONS OF RHEUMATOID ARTHRITISSystemic manifestations o Fatigue, weight loss, low grade fevero More common with RA positiveSubcutaneous nodules Seen almost exclusively in patients with RF (rheumatoid factor)o May occur anywhere but most commonly occur subcutaneously on extensor surface particularly forearm, over joints or pressure pointso NontenderPulmonaryPleural effusion with low glucose and pHo Lung nodules -- solid may calcify or cavitateo Diffuse interstitial firbosisEyeSjogren syndrome (keratoconjunctivitis sicca from sjogren syndrome is the most common eye manifestation)ScleritisNeurologico Peripheral nerve entrapment syndrome, carpal tunnel syndrome (median nerve), Tarsal tunnel syndrome (anterior tibial nerve)o Mononeuritis multiplexCvso Pericardial effusiono Constrictive pericarditiso Increased morbidity and mortality from coronary artery disease